All are true regarding Toxoplasmosis, except-
1. Subclinical in most cases among adults
2. Intracerebral calcification in children
3. IgM antibody in new born suggests congenital infection
4. NOT infective in 3rd trimester in pregnancy

Correct answer: 4. NOT infective in 3rd trimester in pregnancy

Explanation: Congenital infection during the first trimester of pregnancy may cause abortion or still birth.Second and third trimester infections induce less severe neurological damage. Cerebral calcification +convulsions +retinochoroiditis (refer pgno:67 baveja 3 rd edition)